"Lyre sign" is a feature of:
1. Cystic hygroma
2. Branchial Fistula
3. Bezold's abscess
4. Carotid body tumor

Correct answer: 4. Carotid body tumor

Explanation: "Lyre sign" is splaying of internal and external carotid arterics because of carotid body tumor, seen on carotid angiogram.